The drug of choice for Addison's disease is:
1. Hydrocortisone
2. Betamethasone
3. Dexamethasone
4. Prednisolone

Correct answer: 1. Hydrocortisone

Explanation: Hydrocortisone